National Population Policy was first formed in 1976. Goals of National Population Policy are the following, EXCEPT:
1. Decrease IMR to below 30 per 1000 live births
2. Reduce MMR to below 100 per 100,000 live births
3. Achieve 100 per cent registration of births, deaths, marriage and pregnancy
4. Bring down TFR to replacement level by 2015

Correct answer: 4. Bring down TFR to replacement level by 2015

Explanation: The objective of National Population Policy (NPP) 2000 is to bring the total fertility rate (TFR) to replacement level by 2010. All the other options are the goals to be achieved by NPP. Ref: Park's Textbook of Preventive and Social medicine, 19th edition, Page 391.